In tandem bullet, number of bullet/ bullets coming out of the gun is/are:
1. 1
2. 2
3. 3
4. 4

Correct answer: 2. 2

Explanation: 2